A 40 year old gentleman is brought to the emergency services with a history of acute severe headache followed by sudden loss of consciousness. The most likely source of bleeding is:
1. Middle meningeal artery
2. Bridging veins
3. Charcot–Bouchard aneurysms of the lenticulostriate branches of the middle cerebral artery
4. Rupture of a saccular aneurysm at junction of anterior cerebral artery and anterior communicating artery

Correct answer: 4. Rupture of a saccular aneurysm at junction of anterior cerebral artery and anterior communicating artery